Notochord forms which part in postnatal life -
1. Smooth muscles
2. Anterior longitudinal ligament
3. Nucleosus pulposus
4. Eustachian tube

Correct answer: 3. Nucleosus pulposus

Explanation: Ans. is 'c' i.e., Nucleosus pulposus o After development of verteral bodies, the notochord degenerates and disappears but persists as the nucleus pulposus of intervertebral disc.